Non-noxious stimulus is perceived as pain in -
1. Allodynia
2. Hyperalgesia
3. Paraesthesia
4. Hyperpathia

Correct answer: 1. Allodynia

Explanation: Ans. is 'a' i.e., Allodynia Terminology of sensory disturbances:o Allodynia-Perception of nonpainful stimulus as painful, even excruciating.o Paraesthesia-Pins and needle sensation, tingling (may include a wide variety of other abnormal sensations, except pain)o Dysesthesia-All types of abnormal sensations including painful oneso Hyperesthesia-Pain or increased sensitivity in response to toucho Hyperalgesia-Severe pain in response to a mildly noxious stimuluso Hyperpathia-Is a broad term encompassing all the phenomena described by hyperesthesia, allodynia, and hyperalgesia.